All of the following effects are seen with cholinergic muscarinic receptors stimulation except
1. Sweating
2. Rise in blood pressure
3. Bradycardia
4. Urination

Correct answer: 2. Rise in blood pressure

Explanation: Ref-KDT 6/e p97 Stimulation of muscarinic (M3) receptor decreases BP whereas parasympathetic system stimulation has no effect on BP because blood vessel contain M3 precipitate but no parasympathetic supply.